A 1 year old child having leucocoria was detected to be having a unilateral, large, retinoblastoma having the large globe. Current therapy would involve
1. Enucleation
2. Chemotherapy followed by local dyes
3. Direct laser ablation using a photodynamic crytherapy
4. Scleral radiotherapy followed by chemotherapy

Correct answer: 1. Enucleation

Explanation: Conservative mode of treatment is indicated only in tumors of small size that is less than 6 mm in height Refer khurana 6/e p 303